Follow ing are the side effects of thiazides except-
1. Hypokalemia
2. Hypocalcemia
3. Hepatic coma
4. Impotence

Correct answer: 2. Hypocalcemia

Explanation: Ans. is 'b' i.e., Hypocalcemia Following are the side effects of thiazides:o Hypokalemiao Acute saline depletion, hemoconcentration and increased risk of peripheral venous thrombosiso Dilutionsalhyponatremiao Nausea omitting diarrheao Rarely headache, giddiness, weakness, parethesias, impotenceo Hearing losso Rashes, photosensitivityo Hyperuricemiao Hyperglycemia hyperlipidemiao Hypercalcemiao Magnesium depletiono Aggravated renal insufficiencyo Brisk diuresis leading to mental disturbance and hepatic coma